Chemotherapeutic drugs can cause?
1. Only necrosis
2. Only apoptosis
3. Both necrosis and apoptosis
4. Anoikis

Correct answer: 3. Both necrosis and apoptosis

Explanation: Ans. is 'c' i.e., Both necrosis and apoptosis o Injurious stimuli, e.g., radiation, cytotoxic anticancer durgs, heat and hypoxia, can induce apoptosis if the insult is mild, but large doses of same stimuli result in necrotic cell death.